Which of the following type of OCD has the poor response Exposure and Response prevention
1. Pathological doubt
2. Di contamination
3. Magical thinking
4. Hoarding

Correct answer: 4. Hoarding

Explanation: Poor response to psychological therapies in OCD :- * Hoarding pathology * Increased anxiety and OCD symptom severity * OCD symptom subtypes such religious, sexual, contamination * Unemployment * Being single/not married. Ref:- Clinical Psychology Review; pg num:- 1067-1081